Very numerous, symmetrically distributed, erythematous or copper coloured shiny macules/papule are feature of:
1. Tuberculoid leprosy
2. Borderline borderline leprosy
3. Lepromatous leprosy
4. Borderline tuberculoid leprosy

Correct answer: 3. Lepromatous leprosy

Explanation: Ans. C i.e. Lepromatous leprosy Leprosy Associated cells: Virchow cells 1s' line of drugs: Rifampicin, - Clofazimine, - Dapsone DOC in neuritis: Steroids Treatment of nerve abscess: Incision and drainage MC nerve involved: Ulnar nerve (2"d is posterior auricular nerve) Organs not involved in leprosy: - Ovary, - Lungs, CNS - Uterus MC type of leprosy in India: TT Infective form of leprosy: Tuberculoid leprosy Lepromin test indicates: Strong immunity Lucio's phenomenon: M. leprae may be associated with cutaneous ulcerations in patients with lepromatous leprosy Lepromatous leprosy Features: - Gynaecomastia, Madarosis, - Collapse of nasal bridge Histology: Dermis contains characteristic highly vacoulated cells (Foam cells) (ABSENT/ few non-caseating granuloma)